Duret's hemorrhages are seen in?
1. Lungs
2. Spleen
3. Liver
4. Brain

Correct answer: 4. Brain

Explanation: Ans. (d) BrainRef. Essenstial forensic neuropathology, p 94